Subarachnoid block as anaesthesia is contraindicated in –
1. Diabetic gangrene
2. Burgers disease
3. Atherosclerotic gangrene
4. Hemophilia

Correct answer: 4. Hemophilia

Explanation: Coagulopathy or bleeding disorders are absolute contraindications.